Investigation of choice for evaluation of upper abdominal trauma in a patient with stable vitals?
1. USG
2. CT
3. SCINTIGRAPHY
4. MRI

Correct answer: 2. CT

Explanation: * Initial Investigation in a patient with abdominal trauma is USG to detect hemoperitoneum * Investigation of choice to know the source of hemoperitoneum in a stable patient is CECT-Abdomen. Radiological evaluation of abdominal trauma in emergency: